Pressure on artery proximal to fistula leading to diminished swelling is known as:
1. Murray sign
2. Frei sign
3. Darrier sign
4. Branham sign

Correct answer: 4. Branham sign

Explanation: Nicoladoni's or Branham's sign: Pressure on artery proximal to fistula causes the swelling to diminish in size, a thrill or bruit to cease, the pulse rate to fall and the pulse pressure returns to normal.